Weight of an adult eyeball is:
1. 7 g
2. 9 g
3. 11 g
4. 13 g

Correct answer: 1. 7 g

Explanation: Ans. 7 g